A 30 year old male with a history of alcohol abuse for 15 years is brought to the hospital emergency with complaints of fearfulness, misrecognition, talking to self, aggressive behavior, tremulousness and seeing snakes and reptiles that are not visible to others around him. There is a history of drinking alcohol two days prior to the onset of the present complaints. He is most likely suffering from -
1. Delirium tremens
2. Alcoholic hallucinosis
3. Schizophrenia
4. Seizure disorder

Correct answer: 1. Delirium tremens

Explanation: This patient has:-


H/O alcohol abuse
Abstinence from alcohol drinking for two days



Visual hallucinations (seeing snake & reptiles)
Disorientation (misrecognition, talking to self)
Anxiety (fearfulness and tremulousness)


All suggest the diagnosis of delirium tremens.